Moh's micrographic excision for basal cell carcinoma is used for all of the following except:
1. Recurrent tumor
2. Tumor less than 2 cm in diameter
3. Tumors with aggressive histology
4. Tumors with perineural invasion

Correct answer: 2. Tumor less than 2 cm in diameter

Explanation: Treatment of Melanoma Non-aggressive tumor on trunk or extremities : Excision or electrodissection & curettage Large, aggressive , located at vital areas or recurrent : Moh's micrographic surgery